Which among the following is NOT true about right kidney?
1. Rt. kidney is preferred over the left for transplantation
2. It is lower than the left kidney
3. Rt. renal vein is shoer than the left
4. Ri. renal vessels are related to the duodenum

Correct answer: 1. Rt. kidney is preferred over the left for transplantation

Explanation: If the two kidneys are equal, the left is preferred for transplant due to its longer and often thicker renal vein. However, in cases when one kidney has multiple renal aeries, the kidney with the single aery is selected. Because of the liver, the right kidney is lower than the left. Right renal vein is shoer than the left. The second poion of the duodenum is in close proximity to the right renal vessels and, during right renal surgery, it must be reflected anteromedially (Kocherized) to achieve vascular control. Ref: Flechner S.M. (2008). Chapter 35. Renal Transplantation. In E.A. Tanagho, J.W. McAninch (Eds), Smith's General Urology, 17e.